Catgut suture is packed in
1. Isopropyl alcohol
2. Ethanol
3. Formalin
4. Gluteraldehyde

Correct answer: 1. Isopropyl alcohol